Staphylococcus can cause – a) Ecthymab) Erythrasmac) Furuncled) Impetigo contagiosae) Sycosis barbae
1. bce
2. acde
3. abcd
4. abde

Correct answer: 2. acde